In radionuclide imaging, the most useful radiopharmaceutical agent for skeletal imaging is:
1. Tc-99m linked to methylene diphosphonate (99m Tc-MDP)
2. Tc-99 pyrophosphate
3. Tc-sulphur colloid (99m Tc-Sc)
4. Gallium 67

Correct answer: 1. Tc-99m linked to methylene diphosphonate (99m Tc-MDP)

Explanation: Ans: A i.e. Tc-99m linked to methylene diphosphonate (99m Tc-MDP) Radiopharmacological agents and uses Tc-99m linked to methylene diphosphonate (99m Tc-MDP) is used in bone imaging Tc-99 pyrophosphate is used for defining hot spots in myocardial infarction/avid infarct imaging 99m Tc-Sc is used in imaging of reticuloendothelial system (liver/ spleen), gastric emptying, GI bleeds Gallium 67 is used for tumours/abscess